A woman was brought to the casualty 8 hours after sustaining burns on the abdomen, both the limbs and back. What will be the amount of fluid to be used for resuscitation in the first 24 hours as per Parkland formula?
1. 2 mL/kg x %TBSA
2. 4 mL/kg x %TBSA
3. 8 mL/kg x %TBSA
4. 4 mL/kg x %TBSA in first 8 hours followed by 2 mL/kg x%TBSA

Correct answer: 2. 4 mL/kg x %TBSA

Explanation: Calculation for fluid requirement Parkland Formula* It is Crystalloid based* 24 hrs. fluid requirement = 4ml x body weight (kg) x % of burned surface area* Time starts when the patient gets burned* First degree burns are not included* Maximum fluid given should be taken for 50% TBSA - to avoid fluid overload* Half of calculated fluid is given in first 8 hours and rest half of fluid is given innext 16 hours* 2nd day fluid requirement should be 40- 60% of first day fluid requirement Brooke formula* Both Crystalloid & Colloid based* Fluid requirement = 1.5 ml/kg/ %TBSA of crystalloids + 0.5 ml/kg/ %TBSA ofColloids + 2 litres of free water Galveston* It's a Pediatric formula* Fluid requirement = 500 ml/m2 of Total burned surface area + 1500 ml/m2of Total body surface area